Coris disease is due to defect in -
1. Branching enzyme
2. Debranching enzyme
3. Myophosphorylase
4. Hepatic phosphorylase

Correct answer: 2. Debranching enzyme

Explanation: Ans. is 'b' i.e., Debranching enzyme TypeEnzyme deficiencyOrgan (s) affectedIvon Gierke's diseaseGlucose 6-phosphataseLiver, kidneyIIPompe's diseasea (1 -4) Glucosidase (acid maltase)All organsIIICori's disease/Forbe's diseaseDebranching enzymeMuscle, liverIVAndersen's diseaseBranching enzymeLiver, myocardiumVMcArdle's diseasePhosphorylaseMuscleVIHers' diseasePhosphorylaseLiverVIITarui's diseasePhosphofructokinase.Muscle, RBCsVIII Phosphorylase kinaseLivero There is also on X-linked form of phosphorylase kinase deficiency. This is sole exception as all other glycogen storage diseases are inherited as autosomal recessive trait.